Final centre for horizontal movements of eye is-
1. Abducent nucleus
2. Trochlear nucleus
3. Oculomotor nucleus
4. Vestibular nucleus

Correct answer: 1. Abducent nucleus

Explanation: Horizontal movements of the eye are bought about by the action of Lateral rectus muscle. Lateral rectus muscle causes Abduction of the eye. It is supplied by the Sixth nerve (Abducent) Third cranial nerve (Occulomotor) supplies the superior, medial and inferior recti and inferior oblique muscle. Fourth cranial nerve(trochlear) supplies the superior oblique muscle. Mnemonic for nerve supply : SO - 4 LR - 6 (SO- superior oblique; 4 - 4th cranial nerve ; LR - Lateral rectus; 6 - 6 th cranial nerve) Ref;A.K.Khurana;6th Edition;Page no: 339